A 20-year-old woman has mild pulmonary stenosis. Which of the following statements regarding this situation is true?
1. Heart size on chest x-ray is likely to be enlarged
2. Electrocardiogram is likely to be abnormal
3. There is loss of the jugular a wave
4. Compared to other valvular defects, the risk of endocarditis is relatively low

Correct answer: 4. Compared to other valvular defects, the risk of endocarditis is relatively low

Explanation: Adults with mild pulmonic stenosis are generally asymptomatic. Unlike congenital aortic stenosis, this condition usually does not progress; thus, follow-up need not be frequent. The risk of endocarditis is somewhat lower for pulmonic valves than for the other heart valves, whether normal or stenotic. Clinical signs of mild pulmonic stenosis include a prominent a wave on jugular venous pulse, a normal electrocardiogram, and normal cardiac size on chest x-ray.